In organophosphorous poisoning, following are seen except -
1. Pupillary dilatation
2. Salivation
3. Bronchospasm
4. Sweating

Correct answer: 1. Pupillary dilatation